Absence of clavicle is a feature of:
1. Cleidocranial dysplasia
2. Multiple epiphyseal dysplasia
3. Fibrous dysplasia
4. Cranio-Metaphyseal dysplasia

Correct answer: 1. Cleidocranial dysplasia

Explanation: a. Cleidocranial dysplasia(Ref: Nelson's 20/e p 618-619)Cleidocranial dysostosis, also called cleidocranial dysplasia or mutational dysostosis, is a hereditary congenital disorder, where there is delayed ossification of midline structures; Absent clavicles and delayed dentition.